Blood supply of breast by all except
1. Internal mammary artery
2. Intercostal vessels
3. Thoraco-dorsal branch of subscapular artery
4. Thoraco acromial artery

Correct answer: 3. Thoraco-dorsal branch of subscapular artery

Explanation: C. i.e. Thoraco dorsal br. of subcapsular artery